Coccidioides immitis is identified in tissues on the basis of which of the following
1. Budding yeast cells with pseudohyphae
2. Yeast like forms with very large capsules
3. Chlamydospore
4. Endosporulating spherules

Correct answer: 4. Endosporulating spherules

Explanation: Laboratory diagnosis of coccidioidomycosis: 1. Demonstration of spherules containing endospores in: (a) sputum or smears from the lesion stained by calcofluor white and (b) in biopsy material stained by hematoxylin and eosin, silver, or PerIodic acid-Schiff stains. H & E staining